Upper segment : lower segment ratio in Growth hormone deficiency:
1. Increases
2. Decreases
3. Remains unchanged
4. Cannot comment

Correct answer: 3. Remains unchanged

Explanation: - Growth hormone deficiency is a cause of proportionate short stature - so upper segment : lower segment ratio remains normal or unchanged. CLINICAL FEATURES OF GH DEFICIENCY: Delayed bone age, dentition, puberty, milestones Hypoglycemia Frontal bossing High pitched voice Short stature DIAGNOSIS: 1. GH stimulation test : Done using insulin/ arginine/ clonidine/ glucagon Peak GH level <10 ng/ml - GH deficiency 2. Bone age < Chronological age Treatment:Recombinant GH injections subcutaneously